True about Psammoma bodies are all except ?
1. Seen in meningioma
2. Concentric whorled appearance
3. Contains Calcium deposits
4. Seen in teratoma

Correct answer: 4. Seen in teratoma

Explanation: Ans. is 'd' i.e., Seen in teratoma o Psammoma bodies represent a process of dystrophic calcification. o Single necrotic cells may constitute seed crystals that become encrusted by the mineral deposits. The progressive acquisition of outer layers may create lamellated configurations, called psammoma bodies because of their resemblance to grains of sand. o Psammoma bodies are seen in : papillary cancer of thyroid, meningioma, papillary serous cystadenocarcinoma of ovary.